The following cell types does not participate in repair after brain infarction
1. Microglia
2. Astrocytes
3. Fibroblasts
4. Endothelium

Correct answer: 3. Fibroblasts

Explanation: The greatest factor in functional recovery after brain injury comes from the brain's ability to learn, called neuroplasticity. ... Recent studies have found collagen is extensively distributed throughout the brain and may be essential in protecting the brain against degeneration such as that in Alzheimers. Fibroblast do not play a role Refer robbins 9/e p774